Changes in which amyloid structure makes it insoluble?
1. Primary
2. Secondary
3. Tertiary
4. Quaternary

Correct answer: 2. Secondary

Explanation: Ans. is 'b' i.e., Secondary * Amyloid is a protein that has an alteration in its secondary structure which imparts it a particular insoluble form, called the beta-pleated sheet conformation.* Amyloid material is composed of two components -i) Major component (95%) - Fibril amyloid protein.ii) Minor components (5%) - P-component, proteoglycans and sulfated glycosaminoglycans.* Fibril amyloid protein is responsible for tissue dysfunction due to pressure effect, while Pcomponent contributes to amyloid deposition by stabilizing fibril amyloid protein and decreasing their clearance.